True statement among the following is:
1. The intercalated duct of the parotid gland is short.
2. The intercalated duct of the parotid gland is long and branching.
3. The parotid gland has poorly developed intercalated duct.
4. None

Correct answer: 2. The intercalated duct of the parotid gland is long and branching.

Explanation: The intercalated ducts of the parotid are long and branching and the pale-staining striated ducts are numerous and stand out conspicuously against the more densely stained acini.